Most common cause of hypersecreting pitutary tumor is?
1. Pitutary adenoma
2. Pitutary carcinoma
3. Autoimmune disease of pituitary
4. Transection of stalk

Correct answer: 1. Pitutary adenoma

Explanation: ANSWER: (A) Pitutary adenomaREF: Harrison's 18th ed chapter 339, 341Most common cause of hypersecreting pitutary tumors is pitutary adenoma